Etiology of bloody discharge from nipple
1. Duct papiloma
2. Breast abcess
3. Fibroadenoma
4. Cyst

Correct answer: 1. Duct papiloma

Explanation: blood stained nipple discharge is obtained in case of duct ectasia,duct papilloma,or carcinomaother nipple discharges of pathological importance are clear serous discharge and black,greenish discharge. Bailey and Love'sShort practice of surgery.Edition 23.Pg no:753